The Hunterian Ligature operation is performed for
1. Aneurysm
2. Varicose veins
3. A V fistulas
4. Acute arterial ischemia

Correct answer: 1. Aneurysm

Explanation: . Ans : (a) Aneurysm Hunterian ligature is a method of treatment of aneurysms, the parent artery is ligated on the proximal side of aneurysm above the first collateral.